Exudative retinal detachment occurs in
1. Myopia
2. Diabetes mellitus
3. Pregnancy induced hypertension
4. Trauma

Correct answer: 3. Pregnancy induced hypertension

Explanation: Myopia and trauma causes rhegmatogenous retinal detachment proliferative diabetic retinopathy causes tractional retinal detachment PIH causes bilateral exudative retinal detachment. Ref:khurana 6th edition, page no. 298